Antibody involved in type-2 hypersensitivity is -
1. IgE
2. IgG
3. IgD
4. IgA

Correct answer: 2. IgG

Explanation: Ans. is 'b' i.e., IgG * Currently the most commonly used classification system of hypersensitivity is that of Gell and coombs classification that divides the hypersensitivity into the following 4 types -1. Type I reactions (immediate hypersensitivity) - Involve immunoglobulin 'E' (IgE) mediatiate release of Histamine and other mediators from mast cells and basophils.2. Type II reactions (Antibody mediated) - Involve immunoglobulin G or Immunoglobulin M bound to cell surface antigen, with subsequent complement fixation.3. Type III reactions (Immune complex mediated) - involve circulating antigen-antibody complexes that deposit in postcapillary venules, with subsequent complement fixation.4. Type IV reactions (delayed hypersensitity, cell mediated) - Mediated by T cells.